Which time is usually used for doing exhumation?
1. Early Morning
2. Evening
3. Night
4. Anytime

Correct answer: 1. Early Morning

Explanation: Exhumation is the digging out of an already buried body from the grave. Exhumation is done under the order of appropriate officers, in the presence of a police officer, only in the early morning (in natural light). The body is exhumed only when, there is a written order from the Executive Magistrate. Ref: The Essentials of Forensic Medicine and Toxicology by KS Narayan Reddy, 27th edition, Page 117-118.